True regarding lens of eye
1. Ectoderm of origin
2. Avascular
3. Epithelium is single layer
4. All of the above

Correct answer: 4. All of the above

Explanation: LENS Transparent , Biconvex & crystalline structure placed in patellar fossa Develop from the surface ectoderm Lens transparency is due to Avascularity of the lens Epithelium is single layering Lens capsule semipermeable in character